A complete denture patient is having difficulty in swallowing is due to
1. Increased interocclusal space
2. Decreased interocclusal space
3. Decreased vertical dimension
4. None of the above

Correct answer: 2. Decreased interocclusal space